Which of the following is the mechanism of action of Penta saccharide?
1. Factor XA inhibition, Thrombin inhibition
2. Factor XA inhibition
3. Antithrombin inhibitor
4. Thrombin inhibition

Correct answer: 2. Factor XA inhibition

Explanation: Ans. B. Factor XA inhibitionPenta saccharideMechanism of action: Factor Xa inhibitionExample: Fondaparinux, IdraparinuxNewer factor Xa inhibitor:a. Rivaroxabanb. Apixaban Both are given orally.